GABA (Gamma amino butyric acid) is characteristic of
1. Post-synaptic excitatory transmitter
2. Post-synaptic inhibitory transmitter
3. Activator of glia-cell function
4. Inhibitor of glia cell function

Correct answer: 2. Post-synaptic inhibitory transmitter

Explanation: Functions of GABA:- One of the major inhibitory neurotransmitters in brain. Regulates the activity of neurons by discouraging the transmission signals It is believed that GABA opens chloride channels & (|||) the permeability of post-synaptic membranes. (|) GABA levels will cause excitation in brain leading to convulsions